Vomiting centre is situated in the:
1. Hypothalamus
2. Midbarin
3. Pons
4. Medulla

Correct answer: 4. Medulla

Explanation: Ans. D: MedullaVomiting is believed to be controlled by two distinct brain centres--the vomiting centre and the chemoreceptor trigger zone--both located in the medulla oblongata.The vomiting centre initiates and controls the act of emesis, which involves a series of contractions of the smooth muscles lining the digestive tract